Most common nerve involved in intracranial aneurysm is :
1. Trochlear
2. VII
3. VIII
4. Occulomotor

Correct answer: 4. Occulomotor

Explanation: Answer is D (Occulomotor nerve): Progressively enlarging unruptured aneurysms most commonly involve the occulomotor nerve. This usually occurs from an expanding aneurysm at junction of post communicating artery and internal carotid artery. Otherwise however, remember : the most common nerve to be involved with raised I.C.T. is the abducent nerve or Vlth cranial nerve" (false localizing sign)